Most common lesion in diabetic nephropathy
1. fibrin caps
2. Capsular drops
3. Diffuse glomerulosclerosis
4. Kimmelstiel Wilson nodule

Correct answer: 3. Diffuse glomerulosclerosis

Explanation: m/c - Diffuse glomerulosclerosis 
Pathognomonic - Kimmelstiel Wilson nodule